Hypotension with muffled heart sounds and congested neck veins is seen in?
1. Cardiac tamponade
2. Pericardial effusion
3. Constrictive pericarditis
4. Acute congestive heart failure

Correct answer: 1. Cardiac tamponade

Explanation: Ans. A. Cardiac TamponadeBeck's triad is a collection of three medical signs associated with acute cardiac tamponade, an emergency condition wherein fluid accumulates around the heart and impairs its ability to pump blood. The signs are:1. Low arterial blood pressure2. Distended neck veins3. Distant, muffled heart sounds.Constrictive pericarditis can present with hypotension and congested neck veins, but muffled heart sounds are not present. Auscultatory finding heard is pericardial shock.